Which of the following statements are TRUE/FALSE among the statements given below, in relation to surgical wounds? 1. No antibiotics required in clean surgery 2. Incision of abscess is done in contaminated wounds 3. Spillage of stomach content converts a clean/contaminated wound case to a contaminated case 4. In clean/contaminated wounds infection rate is 10% 5. Hernial repair is contaminated wound
1. 1,2,3 true & 4,5 false
2. 3,4,5 true & 1,2 false
3. 1,3,4 true & 2,5 false
4. All are true

Correct answer: 3. 1,3,4 true & 2,5 false

Explanation: "Prophylactic systemic antibiotics are not indicated for patients undergoing low -risk, straightforward clean surgical operations in which no obvious bacterial contamination or insertion of a foreign body has occured. SSi risk has traditionally been correlated to wound class. The accepted range of infection rate has been 1% to 5% for clean, 3% to 11% for clean/contaminated, 10% to 17% for contaminated, and greater than 27% for dirty wounds"- sabiston 18/e page 301-03